Headache with bitemporal hemianopia with 6/6 vision is seen in
1. Optic neuritis
2. Trauma
3. Chiasmal lesion
4. Bilateral cavernous lesion

Correct answer: 3. Chiasmal lesion

Explanation: Ans. (c) Chiasmal lesionRef: Parson's, 22/e, p. 507-509May be seen in chaismal lesions caused by 3rd ventricular glioma leading to raised ICP.